Which vitamin deficiency causes excretion of xanthurenic acid?
1. Folic acid
2. Pyridoxine
3. Niacin
4. Vitamin B12

Correct answer: 2. Pyridoxine

Explanation: Pyridoxine deficiency causes the increased excretion of xanthurenic acid Pyridoxal phosphate is required for the synthesis of niacin from tryptophan.Kylureninase is a dependent enzyme.Hence in Pyridoxine deficiency there is a less production of niacin.Moreover, kylurenine is not conveable further which is metabolised to xanthurenic acid and excreted through urine. REFERENCE : DM.VASUDEVAN.Textbook of Biochemistry.6th edition Page no 397